All are true regarding intestinal type of gastric carcinoma Except:
1. Well defined gland formation
2. Most common site is distal part of stomach
3. Lymphatic spread
4. More common in elderly

Correct answer: 3. Lymphatic spread

Explanation: Lauren's classification of stomach cancer Intestinal variety Diffuse variety Classical MC- elderly males (50-60 years) MC site- distal stomach Environmental risk factors Well defined gland formation Hematogenous spread APC gene mutation Epidemic Atypical MC- young females MC site- fundus/proximal stomach Familial risk factors Poor gland formation- signet ring variety Lymphatic spread Decreased E- cadherin Endemic